Proto-oncogene involved in GIST
1. KIT
2. RAS
3. RET
4. MYC

Correct answer: 1. KIT